In median nerve injury, which of the following does not occur ?
1. Loss of function of the lumbrical to the index finger
2. Loss of function of the lumbrical to the middle finger
3. Effect on the muscles of the thenar eminence
4. Loss of adduction of thumb

Correct answer: 4. Loss of adduction of thumb

Explanation: Median nerve supply in hand
-        Flexor pollicis brevis
-        Opponens pollicis
-        Abductor pollicis brevis
-        First two lumbricals